The commonest type of tracheo-esophageal fistula is
1. Proximal end blind; distal end communicating with trachea
2. Distal end; blind proximal end communicating with trachea
3. Both ends blind
4. Both ends open

Correct answer: 1. Proximal end blind; distal end communicating with trachea